Most common type of shock in emergency room is
1. Cardiogenic
2. Hypovolaemic shock
3. Obstructive
4. Neurogenic

Correct answer: 2. Hypovolaemic shock

Explanation: Hypovolaemic shock is the most common form of shock